Climbing fibres send excitatory input to:
1. Stellate cells
2. Golgi cells
3. Granule cells
4. Purkinje cells

Correct answer: 4. Purkinje cells

Explanation: Functional unit of cerebellum = purkinje cell & corresponding deep nuclear cell. Afferents to cerebellum: - 1. Climbing fibers 2. Mossy fibers Climbing fibers all originate from the inferior olives of the medulla; forming the olivocerebellar tract. They are excitatory to the deep nuclear cell (excitatory) purkinje cell (inhibitory) | Precise output for motor movements Mossy fibers - afferents from various other sources send excitatory collateral to deep nuclear cell and proceed to excite granule cells. Granule cells send out extremely short axons up to the molecular layer cerebellar cortex where they divide into 2 branches running parallel to the folia, k/a parallel nerve fibers. Golgi cells, stellate cells & basket cells are inhibitory cells with short axons, located in the molecular layer of cerebellar cortex they send axons to adjacent purkinje cells & cause lateral inhibition, thus sharpening the output signal.